Apexification is done with
1. Ca(OH)2 at the apex
2. Ca(OH)2 direct pulp capping
3. Indirect pulp capping
4. None

Correct answer: 1. Ca(OH)2 at the apex